An emergent hernia repair is scheduled. As the attending physician is driving to the hospital, the medical student assisting on the case quickly reviews his anatomy atlas and is trying to commit to memory that the internal oblique abdominis muscle contributes to the formation of which of the following structures?
1. Inguinal ligament
2. Deep inguinal ring
3. Falx inguinalis (conjoint tendon)
4. Internal spermatic fascia

Correct answer: 3. Falx inguinalis (conjoint tendon)

Explanation: The falx inguinalis (conjoint tendon) is formed by the aponeuroses of the internal oblique and transverse muscles of the abdomen. The inguinal ligament is formed by aponeurosis of the external oblique abdominal muscle, and the reflected inguinal ligament is formed by certain fibers of the inguinal ligament reflected from the pubic tubercle upward toward the linea alba. The deep inguinal ring lies in the transversalis fascia, and the internal spermatic fascia is formed by the transversalis fascia.